Chronic myeloproliferative disorder includes all except:
1. CML
2. Polycythemia vera
3. Essential thrombocytosis
4. Erthyroleukemia

Correct answer: 4. Erthyroleukemia

Explanation: Ans: D (Erthyroleukemia) Ref: Robbins Pathologic Basis of Disease, 8th editionExplanation:List of Myeloproliferative DisordersChronic myeloid leukemia CMLPolycythemia veraEssential thrombocytosisPrimary myelofibrosisChronic eosinophilic leukemiaChronic neutrophilic leukemiaSystemic mastocytosis (?)- In 200L the World Health Organization classified "chronic eosinophilic leukemia/ hvpereosinophilic syndrome" and chronic neutrophilic leukemia under "Chronic myeloproliferative diseases".ErythroleukemiaIt is a subtype of AMLIt is classified as an M6 subtype of acute myelogenous leukemia (AML) in the French- American-British (FAb) classification system on the basis of morphologic and cytochemical criteria.